Not true regarding Waldenstrom's macroglobulinemia is -
1. Lymphadenopathy is usually present
2. Blood viscosity increased
3. IgM immunoglobulin increased
4. Hypercalcemia

Correct answer: 4. Hypercalcemia